All of the following goals under NHP 2002 have to be achieved by 2010 except
1. Reduce prevalence of blindness to 0.5%
2. Eliminate Lymphatic Filariasis
3. Increase utilization of Public health facilities from <20% to >75%
4. Reduce IMR to 30/ 100 and MMR to 100/ Lakh

Correct answer: 2. Eliminate Lymphatic Filariasis

Explanation: Under National Health Policy (NHP) – 2002, ‘Lymphatic Filariasis has to be eliminated by 2015.’